Persistent untreated anovulation leads to all of the following EXCEPT :
1. Hirsutism
2. Increased risk of cardiovascular disease
3. Increased ovarian tumour
4. Increased endometrial carcinoma

Correct answer: 3. Increased ovarian tumour

Explanation: Increased ovarian tumour